The operating temperature in an ethylene oxide sterilization during warm cycle is :
1. 20-350C
2. 49-630C
3. 68-880C
4. 92-1100C

Correct answer: 2. 49-630C